Which of the properties accounts for ethanol's use in ethylene glycol poisoning?
1. Competitive inhibitor of NADPH oxidase
2. Competitive inhibitor of alcohol dehydrogenase
3. Competitive inhibitor of aldehyde dehydrogenase
4. Non-competitive inhibitor of aldehyde dehydrogenase

Correct answer: 2. Competitive inhibitor of alcohol dehydrogenase

Explanation: Ethanol acts by competing with ethylene glycol for alcohol dehydrogenase, the first enzyme in the degradation pathway. Because ethanol has a much higher affinity for alcohol dehydrogenase, about a 100-times greater affinity, it successfully blocks the breakdown of ethylene glycol into glycoaldehyde, which prevents the further degradation. Ref: Lehninger Principles of Biochemistry, 4th Edition, Page 336; Updates in Emergency Medicine By John Cahill, 2002, Page 115